A 30 year old woman with a bad obstetric history presents with fever. The blood culture from the patient grows gram--positive small to medium coccobacilli that are pleomorphic, occurring in short chains. Direct wet mount from the culture shows tumbling motility. The most likely organism is:
1. Listera monocytogenes
2. Corynebacterium sp.
3. Enterococcus sp.
4. Erysipelothrix rhusiopathiae

Correct answer: 1. Listera monocytogenes

Explanation: Listeria are small gram positive coccobacilli with characteristic tumbling motility. They are non motile at 38 degree Celsius as the flagellae are produced optimally at 20-30 degree Celsius. Reference: Ananthanarayan and Paniker's Textbook of Microbiology Tenth edition